Synthesis of an immunoglobulin in membrane bound or secretory form is determined by:
1. One turn to two turn joining rule
2. Class switching
3. Differential RNA processing
4. Allelic exclusion

Correct answer: 3. Differential RNA processing

Explanation: Ans. is 'c' i.e., Differential RNA processing (Ref: Kuby Immunolo 6th/e, p. 130 - 131)* Differential RNA processing of a common primary transcript determines whether the secreted or membrane form of an immunoglobulin will be produced.* Membrane bound or secreted form of immunoglobulin differs in the amino acid sequence of the heavy chain carboxyl terminal domains.